Drumstick appearence is seen in :
1. Cl. tetani
2. Cl. tetanomorphum
3. Cl. sphenoids
4. All of the above

Correct answer: 4. All of the above